PQLI dues not include: (Repeat)
1. Infant Mortality rate
2. Gross national Product
3. Litreacy rate
4. Life expectancy at l year of age.

Correct answer: 2. Gross national Product

Explanation: Ans: B (Gross national Product) Ref: Textbook of Preventive and Social Medicine. K Park, 22nd edition, Pg: 16Explanation:Physical Quality of life index (PQLI)Consolidates three indicators* Infant mortality* Life expectancy at age one* Literacy* Range - 0 to 100 Human developmental index (HDI)Consolidates three indicators* Life expectancy at birth (Longevity)* Adult literacy rate and mean year of schooling (Knowledge)* Real GDP per capita (Income)Notes:1. Extra indicator as compare to PQLI is income2. Infant mortality and life expectancy at age one is conceptually clubbed in HDI as life expectancy at birthRange - 0 to 1